Which of the following is the first sign of tuberculous cord compression?
1. Absent DTR
2. Sensory loss
3. Spasticity
4. Weakness

Correct answer: 3. Spasticity

Explanation: Spasticity is the earliest sign among the given choices. It usually involves the thoracic spine and anterolateral decompression is a treatment approach.